Which of the following is not a self-retaining urinary catheter:
1. Foley
2. Malecot
3. Gibbon
4. Red rubber

Correct answer: 4. Red rubber

Explanation: Ans. D: Red rubber